False about grievous hurt:
1. Loss of one kidney
2. Loss of hearing in one ear
3. Loss of vision of one eye
4. Abrasion on face

Correct answer: 4. Abrasion on face

Explanation: Ans. Abrasion on face